A 24-year old pregnant women developed a gingival infection that appears to be a bacterial origin. Which of the following drugs is safe to be used in this patient?
1. Ampicillin
2. Clarithromycin
3. Sulfadiazine
4. Tetracycline

Correct answer: 1. Ampicillin